Most common cause of oroantral fistula
1. TB
2. Penetrating injury
3. Tooth extraction
4. Iatrogenic

Correct answer: 3. Tooth extraction

Explanation: A most important cause of oroantral fistula is dental extraction. It is a communication between the antrum and the oral cavity. Roots of the second premolar and upper molars are closely related to the antral cavity and their extraction may lead to fistula formation. It presents with regurgitation of food foul smelling discharge filling nose and inability to build positive or negative pressure in the mouth. Ref: Textbook of diseases of ENT; PL Dhingra; 7th edition, pg 208